The murmur of hypertrophy cardiomyopathy is decreased in which of the following
1. Supine position
2. Standing position
3. Valsalva maneuver
4. Amyl nitrate inhalation

Correct answer: 1. Supine position

Explanation: Ref Harrison 19 th ed pg 1568 The systolic ejection murmur of left ventricular outflow tract obstruction is harsh and late peaking and can be enhanced by bedside maneuvers that diminish ventricular volume and transiently worsen obstruction, such as stand- ing from a squatting position or the Valsalva maneuver.